Resperidone is most commonly used to treat which of the following disorders ?
1. Dementia
2. Depression
3. Schizophrenia
4. Obsessive-compulsive disorder

Correct answer: 3. Schizophrenia